Which of the following concentrations of epinephrine does not correspond to the respective route of administration
1. 1:10000 for intravenous route
2. 1: 1000 for inhalational route
3. 1: 1000 for intramuscular route
4. 1: 1000 for subcutaneous route

Correct answer: 2. 1: 1000 for inhalational route

Explanation: Adrenaline is the drug of choice(0.3 - 0.5 ml of 1:1000 solution) for angioneurotic oedema IM is the preferred route. Adrenaline is given with local anaesthetic also. 1:10000-1:20000 IV adrenaline is used. 1:1000 is for subcutaneous route and Intramuscular route. For inhalation route, conc. is 1:100 From H.L. Sharma 3rd ed pg: 172